The chief gas that is formed during decomposition is:
1. H2S
2. Methane
3. Ammonia
4. Ethane

Correct answer: 1. H2S

Explanation: Ans. (A).H2 SEffects of Gas formation In putrefactionHydrogen sulphide, CO2 , ammonia, methane, mercaptans.Gas bubbles cause crepitations.Postmortem purge - Oozing of blood from nostrils & mouth.Gas stiffeningUterus & anus prolapse.Face bloatingPm blisters